A 29-year-old man is seen in follow-up 1-year post-kidney transplant. He is doing well clinically and the transplant is functioning well, with no recent episodes of rejection or changes to his immunosuppressive medications. Which of the following complications of transplantation is the most likely cause of death?
1. atherosclerotic disease
2. opportunistic infection
3. metabolic bone disease
4. lung cancer

Correct answer: 1. atherosclerotic disease

Explanation: The most common causes of death are cardiovascular and tend to occur earlier than in the general population. Increase in neoplasms in renal transplant recipients includes cervical carcinoma, lymphoma, and cutaneous malignancies. Osteoporosis and persistent hyperparathyroidism are other boney complications. Risk of infection is related to degree of immunosuppression.